Which of the following infection is most commonly related to aplastic anemia?
1. Hepatitis
2. H. pylori infection
3. Tetanus
4. Bacteremia

Correct answer: 1. Hepatitis

Explanation: Hepatitis is the most common preceding infection and posthepatitis marrow failure accounts for approximately 5% of etiologies in most series.